Highest transmission of hepatitis B from mother to fetus occurs, if the mother is infected during:
1. 1st trimester
2. IInd trimester
3. IIIrd trimester
4. At the time of implantation

Correct answer: 3. IIIrd trimester

Explanation: The virus is transmitted by parenteral route, sexual contact, vertical transmission and rarely breast milk. The risk of transmission to fetus ranges from 10% in 1st TM to as high as 90% in 3rd TM. It is specifically high (90%) from those mothers who are seropositive to hepatitis B surface Antigen(HBsAg) and e-antigen(HBeAg) Reference: Textbook of Dutta,9th edition, page 271